Koeppe nodules are present on –
1. Cornea
2. Conjunctiva
3. Iris
4. Retina

Correct answer: 3. Iris

Explanation: Iris nodules

There are many types of nodules that develop on iris in granulomatous uveitis:-


Koeppe nodule: - Seen at pupillary margin.
Busacca's nodule: - Seen on the peripheral part of the anterior surface of iris.
Tubercular nodules: - Scattered throughout the iris and ciliary body, mostly in the stroma. They are more common at pupillary margin.
Syphilitic nodules:-At pupillary margin.
Sarcoid nodules:-At pupillary margin or in the stroma of the iris.